Most common cause of blepharoconjunctivitis
1. Corynebacterium
2. Moraxella lacunata
3. Staph epidermidis
4. Stah aureus

Correct answer: 4. Stah aureus

Explanation: The most common cause of blepharoconjuctivitis is staph aureus Staphylococcus epidermidis is an innocuous flora of lid and conjunctiva. It can also produce blepharoconjunctivitis. Moraxella lacunata is most common cause of angular conjunctivitis and angular blepharoconjunctivitis. Corynebacterium diphtheriae causes acute membranous conjunctivitis